Risk factors for gall stones -
1. Hormone replacement therapy
2. Female sex
3. Acute weight loss
4. All of the above

Correct answer: 4. All of the above